Absent parathyroid, thymic aplasia with immuno-deficiency and cardiac defects are features of:
1. Autoimmune polyglandular syndrome
2. Pendred syndrome
3. Di George syndrome
4. Lesch-Nyhan syndrome

Correct answer: 3. Di George syndrome

Explanation: DI-GEORGE SYNDROME Characterized by Congenital cardiac defects, particularly those involving great vessels Hypocalcemic tetany due to failure of parathyroid development Absence of normal thymus, T-cell immunodeficiency